Most sensitive investigation for preoperative localization of abnormal parathyroid glands is:
1. Neck ultrasound
2. (99mTc) labelled Sestamibi isotope scan
3. CT scan
4. MRI

Correct answer: 2. (99mTc) labelled Sestamibi isotope scan

Explanation: Neck ultrasound locates glands in approximately 75% of cases. (99mTc) labeled Sestamibi isotope scans identify approximately 80% of abnormal parathyroid glands.
CT & MRI is not indicated prior to first time neck exploration.